The length of junctional epithelium is:
1. 0.25 - 1.35 mm
2. 0.5 - .75 mm
3. 1.0 - 2.0 mm
4. 1.0 - 1.5 mm

Correct answer: 1. 0.25 - 1.35 mm